Most common nerve damaged in leg:
1. Common peroneal nerve
2. Femoral nerve
3. Sciatic nerve
4. Tibial nerve

Correct answer: 1. Common peroneal nerve

Explanation: Ans. A Common peroneal nerveRef: Neuromuscular Diseases: A Practical Approach to Diagnosis and Management By Schwartz, P 134* Book states: "In leg the common peroneal nerve is most often affected nerve". Nerves may be damaged at the time of fracture or afterwards from the effects of movement or of reduction of a dislocation.* Iatrogenic injuries occur from penetrating injury to nerves. These usually occur during intramuscular injection of drugs, for example, a sciatic nerve injury may occasionally follow drug injections into the buttock. The femoral nerve is also vulnerable in the thigh. Attempted cannulation of veins or arteries, especially in the antecubital fossa where the median nerve is vulnerable, may cause a severe nerve injury.